Scrub typhus is spread by:
1. Ticks
2. Fleas
3. Trombiculid mite
4. Louse

Correct answer: 3. Trombiculid mite

Explanation: Ans. C: Trombiculid mite Scrub typhus is a form of typhus caused by Orientia tsutsugamushi. Scrub typhus is transmitted by some species of trombiculid mites ("chiggers", particularly Leptotrombidium deliense), which are found in areas of heavy scrub vegetation. The bite of this mite leaves a characteristic black eschar that is useful to the doctor for making the diagnosis